Small nerve fibres carry all except
1. Cold
2. Heat
3. Position sense
4. Pain

Correct answer: 3. Position sense

Explanation: (C) Position sense# SMALL FIBERS carry information regarding pain and temperature.> Abnormalities affecting these nerves cause alteration of pain and temperature perception and severe pain.> Because of the difficulty characterizing the discomfort, orthopedists, podiatrists, and rheumatologists may initially evaluate patients for arthritic disorders. Pain is described as burning, prickling, stabbing, jabbing, or tight band-like pressure.> Pain is initially localized to the toes but may spread to the legs and even the arms and hands.> Examination may be normal or reveal a "stocking-glove" distribution sensory loss.> Rarely, patients present with a more widespread or diffuse pain syndrome.> Small fiber disorders: Most commonly Diabetes; others-Amyloid, Autoimmune or Collagen vascular disorders; HIV; Chemotherapy (such as antiretroviral therapy); Alcohol; Fabry's or Hereditary sensory autonomic neuropathy.